Transmission of HIV infection from infected mother to child occurs most commonly during -
1. Antenatal stage
2. Before delivery
3. Duringlabour
4. During lactation

Correct answer: 3. Duringlabour

Explanation: Ans. is 'c' i.e.. During labour